After premature delivery, mother's milk is low in
1. Lactose
2. Fat
3. Protein
4. Sodium

Correct answer: 1. Lactose

Explanation: Preterm milk contains more energy, protein, fat, sodium, zinc, anti-infective factors, and macrophages and has a lower content of lactose, calcium, and phosphorus. Ref: Page 98; Ghai essential pediatrics; 6th edition